Six days after receiving several flea bites in a rat-infested shed, a homeless 24-year-old-man develops fever, chills, and a rash that spreads from his abdomen to cover his extremities. He is seen at the hospital emergency department, where blood is drawn for analysis. Eight days later, the public health department reports the presence of antibody to one of the rickettsial group antigens. Which of the following is the most likely diagnosis?
1. Endemic typhus
2. Epidemic typhus
3. Q fever
4. Rocky Mountain spotted fever

Correct answer: 1. Endemic typhus

Explanation: Endemic typhus Vector is flea Causative organism is R. typhi